All are true about 'Molluscum contagiosum' , EXCEPT ?
1. Caused by pox virus.
2. Commonly seen in HIV and immune compromised subject.
3. Treated by cryotherapy.
4. Treated with metronidazole and doxyxycline.

Correct answer: 4. Treated with metronidazole and doxyxycline.

Explanation: Molluscum Contagiosum Benign viral infection caused by the poxvirus. Spread by close sexual or nonsexual contact and by autoinoculation Clinical features Presents with a crop of small domed vesicles with central umbilication measuring 1-5 mm in size. Diagnosis Giemsa staining of the discharge (white waxy material) reveals intracytoplasmic molluscum bodies Rx It consists of evacuation of the white material, excision of the nodule with a dermal curet and Rx of the base with Monsel's solution (ferric subsulphate) or 85% trichloracetic acid. Cryotherapy and electrocoagulation may be considered as an alternative therapy.